Agonist is having:
1. Affinity with intrinsic activity is 1
2. Affinity with intrinsic activity is 0
3. Affinity with intrinsic activity is –1
4. None

Correct answer: 1. Affinity with intrinsic activity is 1